What is the effective antodote for acetaminophen overdose in a 28 year old suicidal patient?
1. N-Acetyl cysteine
2. N-Glycolamine
3. Penicillamine
4. Fomipezole

Correct answer: 1. N-Acetyl cysteine

Explanation: N-acetylcysteine is used as an effective antidote for acetaminophen overdose. In acetaminophen overdose, N-acetylcysteine, a sulfhydryl-containing acetaminophen-specific antidote, replenishes hepatic stores of glutathione by acting as a glutathione surrogate, combining directly with reactive acetaminophen metabolites and preventing hepatic damage. N-acetylcysteine should be initiated within 10 hours of actaminophen overdose to achieve optimum results.